A 9-year-old boy presents with growth retardation and propensity to hypoglycemia. Physical examination reveals short stature, micropenis, increased fat and high-pitched voice. The skeletal survey reveals bone age of 5 years. Which of the following is most appropriate diagnosis?
1. Malabsorption
2. Growth hormone deficiency
3. Adrenal tumour
4. Thyroxin deficiency

Correct answer: 2. Growth hormone deficiency

Explanation: - Features mentioned in the question suggests the diagnosis of Growth hormone deficiency CLINICAL FEATURES OF GH DEFICIENCY: Delayed bone age, dentition, puberty , milestones Hypoglycemia Frontal bossing High pitched voice Short stature